True about Dupuytren's contracture -a) A/w peyronie's diseaseb) First affect index fingerc) Nodule formation & thickening of palmar fasciad) Amputation may be required
1. abc
2. ad
3. acd
4. bde

Correct answer: 3. acd

Explanation: Dupuytren's contracture is thickening of palmar fascia which starts as nodular thickening.
The ring finger is affected most commonly.
Dupuytren's contracture may be associated with thickening of plantar fascia Ledder house's disease or that of penile fascia (Peyronie's disease).
Surgery does not cure the disease, it only partially corrects the deformity, & recurrence or extension is common,
Surgery in indicated if the deformity is a nuisance or rapidly progressing. Only the thickened part of the fascia is excised (complete fascioctomy is usually unnecessary & fraught with complications)
Amputation is occasionally advisable for severe, recurrent disease in the little finger.